Which of the following statements is False?
1. Rashtriya Krishi Vikas Yojana is launched for prosperity of agriculture
2. Sukanya Samridhi Yojana targets prosperity of female child & her parents.
3. Pradhan Mantri Gramin Awaas Yojana is for recognition & standardization of skills among youth
4. Indira Awas Yojanawas launched as a part of Rural Landless Employment Guarantee Programme.

Correct answer: 3. Pradhan Mantri Gramin Awaas Yojana is for recognition & standardization of skills among youth

Explanation: Option-1- True - Rashtriya Krishi Vikas Yojana scheme is launched for prosperity of agriculture & farmers Option-2- True - Sukanya Samridhi Yojana targets prosperity of female child & her parents. This scheme encourages parents to build a fund for future education & marriage expenses for their female child. Option-3 - False - Pradhan Mantri Kaushal Vikas Yojana was launched for recognition & standardization of skills among youth. Option-4 - True - Indira Awas Yojana; now k/a Pradhan Mantri Gramin Awaas Yojana is for rural housing in India which is launched as a part of Rural Landless Employment Guarantee Programme. MUST KNOW Housing for All by 2022 or Pradhan Mantri Awaas Yojana (Urban) is for providing housing for poor in urban areas.